All are true about Juvenile CML except
1. Philadelphia chromosome is absent
2. Associated with Neurofibromatosis-1
3. Presents with anaemia, low HbF, leucocytosis
4. Most common in less than 2 years of age

Correct answer: 3. Presents with anaemia, low HbF, leucocytosis

Explanation: It presents with anaemia, thrombocytopenia, high HbF and leukocytosis.